Most common complication after splenectomy is -
1. Chest infection
2. Hematemesis
3. Subphrenic collection
4. Acute dilation of stomach

Correct answer: 1. Chest infection